In an Autosomal Recessive (AR) disorder, one parent is normal and the other is carrier and the child is also affected. What is the reason –
1. Germ line mosaicism
2. Genomic imprinting
3. Penetrattion
4. Uniparental disomy

Correct answer: 4. Uniparental disomy

Explanation: If one parent is normal for an autosomal recessive disorder and the other is carrier. No child should be affected.